Krukenberg spindles -
1. Involves anterior surface of cornea
2. Involves anterior lens surface
3. Involves posterior surface of cornea
4. Involves posterior surface of lens

Correct answer: 3. Involves posterior surface of cornea

Explanation: Deposition of pigment granules in posterior surface of cornea is called krukenbergs spindle it is seen in pigment dispersion syndrome Ref:Comprehensive ophthalmology -6th edition chapter -10 page no :250